All the following are used in the management of acute myocardial infraction except
1. Asprin
2. Heparin
3. Alteplase
4. Warfarin

Correct answer: 4. Warfarin

Explanation: Ref Harrison 19 th ed pg 1596 Warfarin is not indicated in the immediate management of acute myocardial infraction. Warfarin is the best answer of exclusion.